Hotspot in MI is seen in –
1. Th – 20
2. Gallium
3. Pyrophosphate Tc 99
4. Albumin

Correct answer: 3. Pyrophosphate Tc 99

Explanation: Pyrophosphate accumulates in the damaged myocardium and the area of infarct appears as hot spot.